A high occlusal contact occurs in the balancing position between the lingual cusp of maxillary 1st molar and the buccal cusp of mandibular 1st molar. To eliminate this, which surface should be reduced?
1. Lingual cusp of maxillary 1st molar and buccal cusp of mandibular 1st molar
2. Either lingual cusp of maxillary 1st molar or buccal cusp of mandibular 1st molar
3. Lingual cusp of maxillary 1st molar with milling paste at the time of denture  insertion
4. Lingual cusp of maxillary 1st molar in centric and occluding position

Correct answer: 2. Either lingual cusp of maxillary 1st molar or buccal cusp of mandibular 1st molar

Explanation: These are balancing side interferences and slopes of either of the involved cusp tips should be reduced.